Antenatal diagnosis can be made from all the following except
1. Foetal blood
2. Maternal blood
3. Amniotic fluid
4. Decidua

Correct answer: 4. Decidua

Explanation: Deciduae - the endometria lining of the uterus is called decidua during pregnancy, and it is shed after delivery, and no role for antenatal diagnosis.